Barbiturates act on which step of mitochondrial respiratory chain?
1. Compelx 1 to co-enzyme Q
2. Compelx 2 to co-enzyme Q
3. Co-enzyme Q to compelx 3
4. Cytochrome C to compelx 4

Correct answer: 1. Compelx 1 to co-enzyme Q

Explanation: 1. Complex I to Co-Q specific inhibitorsAlkylguanides (guanethidine), hypotensive drugRotenone, insecticide and fish poisonBarbiturates (amobarbital), sedativeChlorpromazine, tranquilizerPiericidin, antibioticRef: DM Vasudevan Textbook of Medical Biochemistry, 6th edition, page no: 234